All are features of somatization disorder except:
1. Frequently changing pain sites
2. Sexual symptoms
3. Paresthesia
4. Professional patients

Correct answer: 4. Professional patients

Explanation: D i.e. Professional patients